MgSO4 have no role in prevention of-
1. Seizures in severe pre-eclampsia
2. Recurrent seizures in eclampsia
3. RDS in premature baby
4. Neuroprotection

Correct answer: 3. RDS in premature baby

Explanation: MgSO4 is the Drug of choice which prevents seizures in severe pre ecclapmsia and also for seizure control in eclampsia This is also used for control of recurrent seizures Neuroprotective action: low-birthweight neonates whose mothers were treated with magnesium sulfate for preterm labor or preeclampsia were found to have a reduced incidence of cerebral palsy at 3 years